Hepatitis with cholestatic jaundice occurs most frequently as an adverse reaction to the following preparation of erythromycin:
1. Erythromycin base
2. Erythromycin stearate
3. Erythromycin estolate
4. Erythromycin ethyl succinate

Correct answer: 3. Erythromycin estolate

Explanation: Erythromycin estolate is responsible for cholestatic jaundice. It starts after 2-3 weeks of starting treatment. Symptoms include nausea, vomiting and cramping pain in abdomen. Risk of this adverse effect increases significantly in pregnancy. Therefore, erythromycin estolate is contra-indicated in pregnancy.